Which of the following is Cemento-dentinal junction?
1. Most important anatomical landmark for determining the location of pulp chambers and root canal orifices
2. Point where pulp tissue ends and periodontal tissue begins
3. Space between major and minor foramina
4. Rounded edge that differentiates the termination of the cemental canal from the exterior surface of root.

Correct answer: 2. Point where pulp tissue ends and periodontal tissue begins